Which of the following is not an Absolute Indication of Splenectomy -
1. Splenic abscess
2. Hereditary Spherocytosis
3. Fibrosarcoma
4. Autoimmune Hemolytic Anaemia

Correct answer: 4. Autoimmune Hemolytic Anaemia